Anti-hypertensive drug contraindicated in pregnancy is :
1. Enalapril
2. Cardio selective beta blockers
3. Methyl dopa
4. Hydralazine

Correct answer: 1. Enalapril